Trichophyton affects:
1. Skin only
2. Hair only
3. Skin, hair, and nails
4. Skin and nails only

Correct answer: 3. Skin, hair, and nails

Explanation: Ans. C. Skin, hair, and nail (Ref Ananthanarayan microbiology 7th /pg. 614)Superficial fungal infections affect the epidermis, mucosa, nails, and hair. Most of these superficial infections are caused by dermatophytes.Nondermatophytes, such as Candida and Pityrosporum, also produce skin infections. OrganismDiseaseNotesMalassezia furfurPityriasis or tinea versicolor* Superficial infection of keratinized cells* Hypoplgmented spots on the chest/back (blotchy suntan)* KOH mount of skin scales: "spaghetti and meatballs." yeast clusters and short, curved septate hyphae* Treatment is topical selenium sulfide; recurs.Fungemia* In premature InfantsCandida albicans, Candida spp.Cutaneous or mucocutaneous candidiasis* Causes oral thrush and vulvovaginitis in Immunocompetent individuals* Source of opportunistic infections in hospitalized and immunocompromised (see Opportunistic Mycoses)Trichophyton, Microsporum, EpidermophytonTinea (capitis, barbae, corporis, cruris, pedis)* Infects skin, hair, and nails* Monomorphic filamentous fungi* KOH mount shows arthroconidia, hyphae* Pruritic lesions with serpiginous borders and central clearingSporothrix schenckii(hyphae)(conidia)* Sporotrichosis (rose gardener's disease)* Pulmonary sporotrichosis (in alcoholics/ homeless)Dimorphic fungus:* Environmental form: hyphaa with rosettes and sleeves of conidia* Tissue form: cigar-shaped yeastAdditional Educational points:Dermatophytic Skin DiseaseLocation Of LesionsClinical FeaturesFungi ResponsibleTinea corporis (ringworm)Nonhairy, smooth skinCircular patches with advancing red, vesiculated border and central scaling.Pruritic.T rubrum, E floccosumTinea pedis(athlete's foot)Interdigital spaces on feet of persons wearing shoes.Acute: itching, red vesicular. Chronic: itching, scaling, fissures.T rubrum, T mentagrophytes, E floccosumTinea cruris (jock itch)Groin.Erythematous scaling lesion in intertriginous area.Pruritic.T rubrum, T mentagrophytes, E floccosumTinea capitisScalp hair. Endothrix: fungus inside hair shaft. Ectothrix: fungus on surface of hair.Circular bald patches with short hair stubs or broken hair within hair follicles. Kerion rare. Microsporum-infected hairs fluoresce.T mentagrophytes, M canisTinea barbaeBeard hair.Edematous, erythematous lesionT mentagrophytesTinea unguium (onychomycosis)Nail.Nails thickened or crumbling distally; discolored; lusterless.Usually associated with tinea pedis.T rubrum, T mentagrophytes, E floccosumDermatophytid (id reaction)Usually sides & flexor aspects of fingers.Palm. Any site on body.Pruritic vesicular to bullous lesions.Most commonly associated with tinea pedis.No fungi present in lesion.May become secondarily infected with bacteria.